Adhesion of margin of two eyelids:
1. Symblepharon
2. Lagophthalmos
3. Ankyloblepharon
4. Blepharophimosis

Correct answer: 3. Ankyloblepharon

Explanation: Ans. (c) AnkyloblepharonRef: A.K. Khurana 6th ed. /577* Symblepharon: Lids become adherent with the eyeball as a result of adhesions between the palpebral and bulbar conjunctiva.* Ankyloblepharon: Adhesions between margins of the upper and lower lids.# It may occur as a congenital anomaly or may result after healing of chemical burns, thermal burns, ulcers and traumatic wounds of the lid margins.* Blepharophimosis: In this condition the extent of the palpebral fissure is decreased. It appears contracted at the outer canthus.* Lagophthalmos: This condition is characterized by inability to voluntarily close the eyelids